A pathologist is looking at a histological section of aorta stained to demonstrate the many wavy fibers that provide the aorta with the flexibility to stretch and then return to its original shape.These fibers are also found in substantial numbers in the?
1. Biceps muscle
2. Liver
3. Mesentery
4. Vocal cords

Correct answer: 4. Vocal cords

Explanation: The fibers are elastic fibers. You should remember three specific sites where these are found: large arteries (particularly the aorta), vocal cords, and ligamenta flava (which connect the vertebrae). Small amounts of elastic tissue are also found in skin, and to a much lesser degree in other tissues.Elastic tissue is not found in muscle or mesentery .Elastic tissue is not found in substantial amounts in the liver or spleen . Ref : Color Atlas of Cytology, Histology, and Microscopic Anatomy by Wolfgang Kuhnel